Hyperhidrosis and clubbing of finger is also seen . What is the diagnosis ?
1. Acromegaly
2. Rheumatoid arthritis
3. periostitis
4. Pachydermoperiostosis

Correct answer: 4. Pachydermoperiostosis

Explanation: Pachydermoperiostosis (PDP): Primary hypertrophic osteoarthropathy Digital clubbing, pachydermia and subperiosteal new bone formation associated with pain, polyarthritis, cutis verticis gyrata, seborrhea and hyperhidrosis. Autosomal dominant trait with incomplete penetrance and is most severe in males. Onset usually occurs in the late teens. Not associated with a family history of the disorder, usually occurs in older men, and is associated with coexisting chronic cardiopulmonary or gastrointestinal neoplasm or infection. Management and treatment Rheumatologic symptoms can be improved by nonsteroidal anti-inflammatory drugs, corticosteroids or colchicine. Clinical improvement of the dermatological symptoms is achieved by retinoids. Plastic surgery may be helpful for facial involvement. Surgical reduction of finger clubbing has been performed with success.